Recent influenza pandemic was due to which strain?
1. H1N1
2. H5N1
3. H7N7
4. H3N2

Correct answer: 1. H1N1

Explanation: Influenza us cause by Orthomyxovirus 3 types: A, B, C - Type A:MC cause of outbreaks/ epidemics; only cause of pandemics Examples: H1 N1 (Type A) - Cause of Swine flu -Recent influenza pandemic H2 N2 (Type A) H5 N1 (Type A) -Cause of Avian influenza (Bird flu)